Toxic shock syndrome occurs after one of the following vaccinations
1. DPT
2. Recombinant DNA vaccine against hepatitis B
3. Oral polio vaccine
4. Measles vaccine

Correct answer: 4. Measles vaccine

Explanation: TSS occurs when measles vaccine is contaminated or the same vial is used for more than one section on the same day or next day, the vaccine should not be used after 4hrs of opening the vial. Symptoms - watery diarrhoea, vomiting and high fever are reported within few hours of measles vaccine. Ref: Park's textbook of preventive and social medicine; 23rd edition